Vitamin required for the activity of transaminases is:
1. Folic acid
2. Nicotinic acid
3. Thiamine
4. Pyridoxine

Correct answer: 4. Pyridoxine

Explanation: Pyridoxal phosphate (PLP), coenzyme form of vitamin B6 is the prosthetic group of all aminotransferases. During transamination, PLP serves as a "carrier" of amino groups. An enzyme-bound Schiff base is formed between the keto group of enzyme-bound PLP and the a-amino group of an a-amino acid.